Subendothelial electron dense deposits within the glomerulus is seen in-
1. MPGN type I
2. Crescentic glomerulonephritis
3. Dense deposit disease
4. IgA nephropathy

Correct answer: 1. MPGN type I

Explanation: By electron microscopy and immunofluorescence microscopy, the changes are different in the three types of MPGN: Type I: It shows electron-dense deposits in subendothelial location conforming to immune-complex character of the disease. These deposits reveal positive fluorescence for C3 and slightly fainter staining for IgG. Type II or dense deposit disease is the example of alternate pathway disease and constitutes about 30% cases. The capillary wall thickening is due to the deposition of electron-dense material in the lamina densa of the GBM. Type II MPGN is an autoimmune disease in which patients have IgG autoantibody termed C3 nephritic factor. Type III is rare and shows features of type I MPGN and membranous nephropathy in association with systemic diseases or drugs. Ref: Textbook of pathology Harsh Mohan 6th edition page 671